Strong correlation is signified by a correlation coefficient of:
1. Zero
2. 1
3. Less than 1
4. More than 1

Correct answer: 2. 1

Explanation: CORRELATION COEFFICIENT (R):

Measures the degree or strength of relationship in a correlation (relationship between 2 quantitative or continuous variables).
Correlation coefficient (r) lies between: –1 to +1 (–1 < r < +1)
Strength of correlation:


Weak positive correlation: 0 < r < 0.3
Moderate positive correlation: 0.4 < r < 0.6
Strong positive correlation: r > 0.7